A patient has been taking digoxin for several years and is about to receive atropine for some other indication. A common side effect of digoxin that can be blocked by atropine is:
1. Decreased appetite
2. Increased cardiac contractility
3. Increased PR interval on the ECG
4. Tachycardia

Correct answer: 3. Increased PR interval on the ECG

Explanation: Digitalis possesses vago-mimetic action - due to alteration in haemodynamics and direct CNS effects altering sympathetic activity, causes bradycardia and decreased A-V conduction (ECG as increased PR interval). Atropine can block this adverse effect and it shows || PR interval and increases HR.